All are associated with Wernicke's encephalopathy,except -
1. Cog-wheel rigidity
2. Alteration in mental function
3. VIth nerve palsy
4. Ataxia

Correct answer: 1. Cog-wheel rigidity